Bleeding that follows partial or complete placental separation and dilation of the cervical os in first 20 weeks is termed as
1. Threatened abortion
2. Complete abortion
3. Incomplete abortion
4. Preterm labor

Correct answer: 3. Incomplete abortion

Explanation: Incomplete Abortion: Bleeding that follows partial or complete placental separation and dilation of the cervical os is termed incomplete abortion. The fetus and the placenta may remain entirely within the uterus or partially extrude through the dilated os. Management options of incomplete abortion include curettage, medical abortion, or expectant management in clinically stable women.(Ref: William's Obstetrics; 25th edition)